A 35-year-old nondiabetic, nonhypeensive individual to casualty with a sudden bursting headache and altered sensorium. What is the most likely diagnosis?
1. Meningitis
2. Encephalitis
3. Intracerebral hemorrhage
4. Intracranial tumor

Correct answer: 3. Intracerebral hemorrhage

Explanation: Harrison's textbook of internal medicine 17th edition...Davidson's principles and practice of Medicine 23 rd edition. *Hemorrhage usually presents as abrupt onset of focal neurological deficit and can be considered as a spectrum of symptoms from transient (TIA) to persistent(stroke).. *Deficit typically worsen steadily over 30 -90 min(if symptoms progress over hours and days ,other diagnoses must be excluded)it is associated with diminished level of consciousness ,signs of increased ICT-headache,vomiting ,prominent sensory deficit involving all modalities .